True about silent mutation in gene
1. No change in mRNA
2. No change in Amino acid sequence in protein
3. No expression of protein
4. No change in expression of protein

Correct answer: 2. No change in Amino acid sequence in protein

Explanation: a point mutation may change the codon for one amino acid to a synonym for the same amino acid Thus the mutation is silent and has no effect on the phenotype For example CUA is mutated to CUC both code for leucine and so this mutation has no effectRef: DM Vasudevan, 7th edition, page no: 613